Group 120 antigen on HIV surface will lead to?
1. Fusion
2. Attachment
3. Resistance
4. Virus entry

Correct answer: 2. Attachment

Explanation: Ans. (b) AttachmentRef: Robbin's pathology 9th ed. /245-46* Envelope glycoprotein GP120 (or gp 120) is a glycoprotein exposed on the surface of the HIV envelope.* The 120 in its name comes from its molecular weight of 120 kDa.* Gpl20 is essential for virus entry into cells as it plays a vital role in attachment to specific cell surface receptors.* Binding to CD4 induces the start of a cascade of conformational changes in gpl20 and gp41 that lead to the fusion of the viral with the host cell membrane.* Gpl20 is coded by the HIV envgene, which is around 2.5 kb long and codes for around 850 amino acids